The oxygen dissociation curve of myoglobin & hemoglobin is different due to
1. Hb can bind to 4 oxygen molecules
2. Cooperative binding in Hb
3. Myoglobin has little oxygen affinity
4. Hemoglobin follows a hyperbolic curve

Correct answer: 2. Cooperative binding in Hb

Explanation: The lack of cooperative binding is reflected in myoglobin dissociation curve.,a rectangular hyperbola is obtained. In the case of Hb, a sigmoid curve is obtained. A leftward shift in myoglobin O2 binding curve when compared to Hb demonstrates a higher affinity for O2 and thus promotes a favorable transfer of O2 from Hb in the blood.Ref: Ganong's Review of medical physiology, 24th edition.Pg no. 643